Which of the following is NOT one of the many contributions of Louis Pasteur?
1. Rabies Vaccine
2. Anthrax Vaccine
3. Germ Theory of Disease
4. Theory of Spontaneous Generation

Correct answer: 4. Theory of Spontaneous Generation

Explanation: Louis Pasteur was a French chemist and microbiologist who was one of the most important founders of medical microbiology. He is remembered for his remarkable breakthroughs in the causes and prevention of diseases. He created the first vaccines for rabies and anthrax. His experiments supported the germ theory of disease. He also invented a method to treat milk to make it free from disease causing bacteria, a process that came to be called pasteurization. Ref: Park, 21st Edition, Page 5.